Tolvaptan is approved for use in -
1. High Na
2. High K
3. High Cu
4. Low Na

Correct answer: 4. Low Na

Explanation: Tolvaptan is an aquaretic drug that functions as a selective, competitive vasopressin receptor 2 antagonist used to treat hyponatremia associated with congestive heart failure, cirrhosis, and the syndrome of inappropriate antidiuretic hormone . This medication is used to treat low levels of salt (sodium) in the blood, which can result from conditions such as heart failure and certain hormone imbalances . Tolvaptan improves urine flow without causing the body to lose too much sodium as you urinate. Ref - pubmed.com